In which layer of cornea, copper is deposited to form Kayser-Fleischer ring in Wilsons disease?
1. Bowman's layer
2. Corneal stroma
3. Descemet's membrane
4. Corneal endothelium

Correct answer: 3. Descemet's membrane

Explanation: Nearly all patients with neurologic involvement in Wilson disease develop eye lesions called Kayser-Fleischer rings, green to brown depositsof copper in Descemet membrane in the limbus of the cornea.Wilson disease is an autosomal recessive disorder caused by mutation of the ATP7B gene, resulting in impaired copper excretion into bile and a failure to incorporate copper into ceruloplasmin. This disorder is marked by the accumulation of toxic levels of copper in many tissues and organs, principally the liver, brain, and eye.Ref: Robbins Pathology; 9th edition; Page no: 849